The largest ovarian tumour is seen with-
1. Pseudomucinous cystadenoma
2. Serous cystadenoma
3. Papillary cystadenoma
4. Dysgerminoma

Correct answer: 1. Pseudomucinous cystadenoma

Explanation: Mucinous tumor tend to produce larger cystic masses, and some have been recorded with weights of more than 25 kg.